Which of the following is false
1. Dilatation of the gallbladder with jaundice unlikely from gallstones
2. Dilatation of the gallbladder with jaundice is due to gallstones
3. Dilatation of a gallbladder with jaundice is due to periampullary carcinoma
4. Dilatation of gall bladder may be present in mirizzi syndrome.

Correct answer: 2. Dilatation of the gallbladder with jaundice is due to gallstones

Explanation: Courvoisier's law states that in the presence of a palpably enlarged gallbladder which is non-tender and accompanied with mild painless jaundice, the cause is unlikely to be gallstones. Chronic gallstones usually cause fibrosis of gallbladder.